The following term is used to describe the impact of school based health education programmes on parents.
1. Side effect
2. Secondary effect
3. Ripple effect
4. String effect

Correct answer: 3. Ripple effect